Antral puncture is made on
1. Medial wall of maxillary sinus
2. Lateral wall of maxillary sinus
3. Apex of of maxillary sinus
4. Roof of maxillary sinus

Correct answer: 1. Medial wall of maxillary sinus